A 30 years old male comes to ortho emergency with his 3 years old daughter who is crying. The father gives the history of child being swung by forearm. The most probable diagnosis is -
1. Supracondylar humerus fracture
2. Elbow dislocation
3. Stress fracture
4. Pulled elbow

Correct answer: 4. Pulled elbow

Explanation: Clinical features of pulled elbow

History of sudden axial pull on extended elbow.
Immediately child starts crying and is unable to move the affected elbow.
The forearm is held in pronation and extension and any attempt to supinate is resisted.
Child does not allow to touch the affected limb.
X-ray seems to be normal